Regarding Hangman's fracture true is:
1. High post-admission mortality
2. Most common axis fracture
3. Surgical treatment is necessary
4. Union almost always occurs

Correct answer: 4. Union almost always occurs

Explanation: (d) Union almost always occurs- Successful healing of C2 traumatic spondylolisthesis is reported to approach 95%. This is most commonly achieved with non-operative measures, even in the presence of displacement of pars inter-articularis.